Superior oblique causes all except -
1. Intorsion
2. Elevation
3. Depression
4. Abduction

Correct answer: 2. Elevation

Explanation: Ans. is 'b' i.e., Elevation MusclePrimary actionSecondary actionTertiary actionMRLRSRIRSOIOAdductionAbductionElevationDepressionIntensionExtorsion--IntorsionExtorsionDepressionElevation--AdductionAdductionAbductionAbduction